In the lungs bronchial arteries supply the bornchopulmonary tree -
1. Till tertiary bronchi
2. Till segmental bronchi
3. Till respiratory bronchioles
4. Till alveolar sacs

Correct answer: 3. Till respiratory bronchioles

Explanation: Bronchial arteries supply till respiratory bronchiole.